All of the following are derived from the pharyngeal orches except :
1. Tensor tympani
2. Palatine tonsils
3. Mylohyoid
4. Tensor veli palatine

Correct answer: 2. Palatine tonsils

Explanation: Platine tonsils from 2 endodermal pouch.